Heinz bodies are composed of?
1. DNA
2. RNA
3. Iron
4. Denatured haemoglobin

Correct answer: 4. Denatured haemoglobin

Explanation: Summary of Inclusions in RBCsHowell jolly bodiesDNABasophilic stipplingRNA remnantsSiderotic granules/ pappenhiemer bodiesIronHeinz bodiesDenatured Haemoglobin